The "R"s of radiobiology include the following except:
1. Repair
2. Reoxygenation
3. Repopulation
4. Reexcitation

Correct answer: 4. Reexcitation

Explanation: Processes after radiation exposure are "4 R's" of radiobiology. Repair - Enzymatic mechanisms for healing intracellular injury. Reoxygenation- Process whereby oxygen is actually better distributed to viable cells following radiation injury and cell killing. Repopulation- Ability of the cell population to continue to divide and to replace dying and dead cells. Redistribution- Reflects the variability of a cell's radiosensitivity over the cell cycle.